Common carotid bifurcates at which border of thyroid cartilage?
1. Superior
2. Inferior
3. Lateral
4. Medial

Correct answer: 1. Superior

Explanation: Common carotid artery bifurcates at superior border of lamina of thyroid cartilage of larynx at C3 vertebral level. At lower border of C6 , ending of larynx and pharynx and beginning of trachea and oesophagus.